Recontouring and selective grinding procedures are carried out in complete denture to:
1. Decrease the vertical dimension of occlusion
2. Decrease cuspal height
3. Enhance curve of spee
4. Remove occlusal disharmony

Correct answer: 4. Remove occlusal disharmony